True about pearl index:
1. Population study
2. Family planning
3. Contraceptive methods
4. Contraceptive failure

Correct answer: 4. Contraceptive failure

Explanation: Ans. (d) Contraceptive failureRef: Park's PSM 21sted. 1472* Pearl index is used to measure the contraceptive efficacy/ contraceptive failure.* It is defined as the number of failures per 100 women- years (HWY) of exposure.P/ =Total accidental pregnancies------------------------Total months of exposurex 1200* Another method used to measure contraceptive failure/ efficacy is life table analysis.* Life table analysis: calculates failure rates for each month of use.